This developmental cyst does not involve bone and does not necessarily be visible in the radiograph. It causes swelling in mucobuccal fold as well as floor of the nose located near the attachment of the ala over maxilla?
1. Nasopalatine cyst
2. Nasoalveolar cyst
3. Gingival cyst of neonate
4. Primordial cyst

Correct answer: 2. Nasoalveolar cyst